“Genital elephantiasis” is caused by
1. Lymphogranuloma venereum
2. Chancroid
3. Syphilis
4. Rickettsia

Correct answer: 1. Lymphogranuloma venereum

Explanation: LYMPHOGRANULOMA - VENEREUM (Lymphogranuloma inguinale, poradenitis, climatic or tropical
bubo)
- Caused by chlamydia -trachomatis - L2 (Most commonly)
- Preferred site - regional lymphnodes
- Primary lesions - painless papulovesicular lesion ** on the external genitalia
- Women - hemorrhagic proctitis with regional lymphadenitis
- Late sequelae in women leading to rectal strictures and elephantiasis of the vulva (esthiomene)**
Chancroid or soft sore is caused by Haemophilus - ducryi “School of fish” or rail rod track” appearance
- Tender nonindurated irregular ulcers on the genitalia